The Most common presentation of multiple sclerosis
1. Sensory loss
2. Vertigo
3. Pain
4. Epilepsy

Correct answer: 1. Sensory loss

Explanation: (A) Sensory loss # Initial symptoms of MSSYMPTOM%SYMPTOM OF CASES%* Sensory loss37* Lhermitte3* Optic neuritis36* Pain3* Weakness35* Dementia2* Paresthesias24* Visual loss2* Diplopia15* Facial palsy1* Ataxia11* Impotence1* Vertigo6* Myokymia1* Paroxysmal attacks4* Epilepsy1* Bladder4* Falling1